Which of the following is a selective COX-2 inhibitor?
1. Diflunisal
2. Piroxicam
3. Sulindac
4. Parecoxib

Correct answer: 4. Parecoxib

Explanation: Ans: D (Parecoxib) Ref: The Pharmacological basis of therapeutics by Goodman & Gilman - 12th edition, page no. 962Explanation:Parecoxib is a COX-2 selective inhibitorOther examples of COX-2 selective inhibitors include celecoxib, etoricoxib, lumiracoxib.Sulindac. piroxicam and diflunisal are non selective NSAIDSMeloxicam has COX-2 selective activity only at lower doses.Although etodolac is a non selective NSAIDS. it has also shown some COX-2 selectivity in vitro studies.Ketorolac, flurbiprofen, ketoprofen have maximal selectivity for COX 1